Rituximab is used in all EXCEPT:
1. Non Hodgkin lymphoma
2. Paroxysomal nocturnal hemoglobinurea
3. Rheumatoid arthritis
4. Systemic lupus erythematosis

Correct answer: 2. Paroxysomal nocturnal hemoglobinurea

Explanation: RITUXIMAB: It is a chimerized MAb that binds to CD20 B cell antigen expressed on surface of B lymphocytes and B cell lymphomas. It is indicated in: 1)B cell lymphoma 2)Non hodgkin lymphoma 3)Chronic lymphocytic leukemia 4)Auto immune diseases ESSENTIALS OF MEDICAL PHARMACOLOGY K.D.TRIPATHI SEVENTH EDITION PAGE NO:872